Red cell cast are more common with
1. Acute tubular necrosis
2. Nephrotic syndrome
3. Nephritic syndrome
4. Interstitial nephritis

Correct answer: 3. Nephritic syndrome

Explanation: Ans. (c) Nephritic syndromeRef: Robbins 8th ed. / Ch. 14The presence of red blood cells within the cast is always pathological, and is strongly indicative of glomerular damage, which can occur in# Glomerulonephritis like P.S.G.N, acute glomerulonephritis, R.P.G.N# Vasculitis, including Wegeners granulomatosis, systemic lupus erythematosus or Goodpasture's syndrome.# Renal infarction# Subacute bacterial endocarditis.* They are a yellowish-brown in color and are generally cylindrical with sometimes ragged edges; their fragility makes inspection of a fresh sample necessary.* RBCs may appear normally shaped, swollen by dilute urine (in fact, only cell ghosts and free hemoglobin may remain), or crenated by concentrated urine.* Both swollen, partly hemolyzed RBCs and crenated RBCs are sometimes difficult to distinguish from WBCs in the urine. In addition, red cell ghosts may simulate yeast.* The presence of dysmorphic RBCs in urine suggests a glomerular disease such as a glomerulonephritis. Dysmorphic RBCs have odd shapes as a consequence of being distorted via passage through the abnormal glomerular structure.